Which among the following NOT a pharmacological action of opioids
1. Cough suppression
2. Anti-emesis
3. Miosis
4. Truncal rigidity

Correct answer: 2. Anti-emesis